Paralysis in polio is characterized by
1. Exaggerated tendon reflexes
2. Symmetrical paralysis
3. Tonic paralysis
4. Lower motor neurone type

Correct answer: 4. Lower motor neurone type

Explanation: Types of Paralytic Poliomyelitis Spinal poliomyelitis (MC type) : Lower motor neurone lesion of the anterior horn cells of spinal cord which affects the muscles of the legs, arms and/or trunk asymmetrically Bulbar poliomyelitis: Involvement of lower cranial nerves Bulbospinal poliomyelitis : Involvement of both Bulbar cranial nerves and spinal cord Ref: Hutchinson's Atlas of pediatric physical diagnosis 1st edition Pgno : 271